Indication of desensitization is/are:
1. Child's initial visit.
2. At subsequent appointments, when introducing dental procedures which are new to the patient.
3. When treating referral patients.
4. All of the above.

Correct answer: 4. All of the above.